Which NSAID undergoes enterohepatic circulation
1. Phenylbutazone
2. Aspirin
3. Ibuprofen
4. Piroxicam

Correct answer: 4. Piroxicam

Explanation: Of the above list, only piroxicam undergoes enterohepatic circulation Piroxicam has got good analgesic, anti-inflammatory, and antipyretic action. It is a long-acting NSAID. It acts in multiple ways to reduce inflammation. It is rapidly and completely absorbed. t/2 is 2 days and hence single daily administration is usually sufficient. It is suitable to use for short-term analgesic and long-term anti-inflammatory drug - RA, OA, ankylosing spondylitis, acute gout, musculoskeletal injuries, dentistry, episiotomy, and dysmenorrhoea. Phenylbutazone (lippincott 2'd edition, page 410,411) It has powerful anti -inflammatory effects but weak analgesic and antipyretic effects It is not a first line drug Uses - short-term therapy for acute gout and in acute RA, when other NSAIDS have failed. The usefulness is limited by its toxicity. Pharmacokinetics - rapidly and completely absorbed after oral and rectal administration, OXYPHENBUTAZONE is the active metabolite. It is extensively bound to plasma proteins, which causes displacement of warfarin, oral hypoglycemic drugs and sulfonamides from binding sites of plasma proteins, causing the transient elevation in the free fraction of these drugs.